All are true about oral iron therapy in anemia except :
1. May worsen inflammatory bowel disease
2. It takes minimum 2 weeks for reticulocyte count to increase
3. Generally 3-6 month therapy is required to replenish iron stores
4. Gastrointestinal side-effects limits its dose

Correct answer: 2. It takes minimum 2 weeks for reticulocyte count to increase

Explanation: Ans. B. It takes minimum 2 weeks for reticulocyte count to increaseOral iron Therapy:Following oral iron, normal Hb level is usually obtained within 1 to 3 months.Depending mainly on the initial Hb level.It is important, however, to continue with the therapy for 12-20 weeks after the Hb level has returned to normal, in order to replenish the depleted iron stores.The reticulocyte count in the peripheral blood begins to rise within a week, reaches a peak at 10 to 14 days and returns to normal after 3 weeksAdverse Effects of Oral iron:Epigastric pain, heartburn, nausea, vomiting, bloating staining of teeth, metallic taste, col:la,Alteration of intestinal flora.Gastric irritation and constipation.Treatment of iron Deficiency:Ability of the patient to tolerate and absorb medicinal iron.